Spleen develops from:
1. Foregut diverticulum
2. Dorsal mesogastrium
3. Pleuroperitoneal membrane
4. Septum transversum

Correct answer: 2. Dorsal mesogastrium

Explanation: Dorsal mesogastrium